Which of the following is a component of matrix vesicles
1. Alkaline phosphatase
2. Calcium ATPase
3. Metallo proteinase
4. All

Correct answer: 4. All